“Checker board” histologic appearance of chromatin clumping is seen in
1. Plasmacytoma
2. Neutropenia
3. Neutrocytosis
4. All of the above

Correct answer: 1. Plasmacytoma